Liquefaction necrosis is commonly seen in
1. Brain
2. Lung
3. Liver
4. Spleen

Correct answer: 1. Brain